Disruption of the hypothalamic-pituitary portal system will lead to:
1. High circulating levels of PRL, low levels of LH and FSH, and ovarian atrophy
2. Enhanced follicular development as a result of increased circulating levels of PRL
3. Ovulation, followed by increased circulating levels of progesterone
4. A reduction of ovarian inhibin levels, followed by increased circulating FSH

Correct answer: 1. High circulating levels of PRL, low levels of LH and FSH, and ovarian atrophy

Explanation: Ans. A. High circulating levels of PRL, low levels of LH and FSH, and ovarian atrophyDisruption of the hypothalamic-pituitary portal system leads to a lack of dopamine and GnRH reaching the pituitary. Because dopamine inhibits PRL secretion, PRL levels will increase. In addition, the lack of GnRH will lead to reduced secretion of LH and FSH, reduced ovarian function, and eventual ovarian atrophy. PRL will have no effect on the ovary or inhibit ovarian follicle development. Disruption of the hypothalamic-pituitary axis will lead to reduced follicular development, lack of ovulation, and low circulating progesterone. Inhibin levels will decrease, but FSH will not increase because there is no GnRH reaching the pituitary from the disrupted axis. Excessive ovarian androgen usually occurs in the presence of excessive LH secretion or an androgen tumor in the ovary. LH secretion is reduced by the lack of GnRH